Which of the following is Aldosugar?
1. Fructose
2. Erythrulose
3. Glucose
4. None

Correct answer: 3. Glucose

Explanation: Repeated question